The shape of eyeball is
1. Ovoid
2. Circular
3. Sphero - ovoid
4. Ablate spheroid

Correct answer: 4. Ablate spheroid